Which one of the following is the most common problem associated with the use of condom:
1. Increased monilial infection of vagina
2. Premature ejaculation
3. Contact dermatitis
4. Retention of urine

Correct answer: 3. Contact dermatitis

Explanation: Directions for use of condom

The condom should be put on by unrolling it over the erect penis after pulling back the foreskin, before there is any contact between the male and female organs. An airfree space should be left by squeezing the tip and holding it up, till it is unrolled fully for better collection of semen.
It should be used only once.
It should not be inflated for testing.
Vaseline oils, skin lotions, cold creams, should not be used as they increase the chance of rupture. If lubrication is needed, glycerine, K-Y jelly or spermicidal jelly can be used.
Soon after discharge, the male should withdraw the penis holding the condom firmly against his body
To increase the effectiveness, a dose of spermicidal jelly or foam tablet may be used at the same time. In case of breakage, slippage, or defective use, women should report or use emergency contraceptive within 72 hours and a spermicidal agent should be quicldy inserted into the vagina.

Advantages of condom

Condoms gives very good protection against STDs. These includes syphilis gonorrhea, trichomoniasis, moniliasis, nongonococcal urethritis, and infection with Chlamydia and Herpes virus.
They are the only contraceptives to protect against HIV and against sexually transmitted hepatitis B Virus.
Condoms reduce the chances of developing cervical dysplasia and cancer cervix (by preventing HPV infection)

Disadvantages

It can lead to contact dermatitis in female partners.
Failure rate 12%